A mother brings her 9 month old child for vaccination. Which of the following statements is false regarding immunization of Japanese encephalitis?
1. The strain used for live vaccine is JE strain SA 14-14-2
2. 2 doses are recommended at age 9 months and 18 months
3. The live attenuatued vaccine can be given to adolescents
4. Live vaccine SA 14-14-2 is administered intramuscularly

Correct answer: 4. Live vaccine SA 14-14-2 is administered intramuscularly

Explanation: SA 14-14-2 strain of JE vaccine is administered subcutaneously, while JENVAC (JEV strain - 82156-XY) is administered intramuscularly. Types of JE Vaccines: Live attenuated cell culture derived SA 14-14-2: Two doses are given subcutaneously at age 9 mon and 16-18 months but can be used in adolescents and non-immune adults. Inactivated cell culture derived SA 14-14-2: Two doses are recommended 4 weeks apart. It is given intramuscularly and can be used upto the age of 18 yrs. Inactivated vero cell culture derived Kolar (Jenvac 82156XY): Two doses are recommended 4 weeks apart. It is given intramuscularly and can be used upto the age of 18 yrs Reference: Ananthanarayan and Paniker's Textbook of Microbiology Tenth edition